A syndesmosis type of joint:
1. Sacro-iliac joint
2. Superior tibiofibular joint
3. Inferior tibiofibular joint
4. Sacro-coccygeal joint

Correct answer: 3. Inferior tibiofibular joint

Explanation: Ans. c (Inferior tibiofibular joint), (ref Handbook of general anatomy by Chaurasia 3rd edition, p. 51).The incudomallear and incudostapedial joints are saddle and ball-and-socket synovial joints, respectively.CLASSIFICATION OF JOINTSA. SYNOVIAL 1.Ball and socketShoulder, Hip, Calcaneo-cuboid,Incudo-stapedial joint 2.CondylarKnee, TM joint 3.EllipsoidAtlanto-occipital, Metacarpophalangeal, Wrist, 4.HingeInterphalangeal, Elbow, Ankle 5.PivotAtianto-axial, Superior and inferior radioulnar 6.SaddleFirst metacarpophalangeal joint of Thumb,Sternoclavicular, Calcaneocuboid, Incudomalleolar.B. CARTILAGINOUS 1.Primary(synchondrosis/ hyaline cartilaginous)Joint between epiphysis &diaphysis of long bones.Spheno-occipital joint, First chondrosternalCostochondral, Sacrococcygeal joint 2.Secondary(symphysis/ fibrocartilaginous)Symphysis pubis, Manubriosternal , IntervertebralC. FIBROUS 1.Skull sutures- 2.SyndesmosisFoot plate stapes-oval window, Inf. tibiofibular joint 3.Gomphosis/peg and socketTooth